"Orphan Annie eye nuclei" is characteristic histologic feature of which of the following thyroid malignancy ?
1. Papillary carcinoma of thyroid
2. Medullary carcinoma of thyroid
3. Anaplastic carcinoma of thyroid
4. Follicular carcinoma of thyroid

Correct answer: 1. Papillary carcinoma of thyroid

Explanation: Orphan Annie nuclei is a characteristic intranuclear inclusion seen mainly in papillary carcinoma of thyroid. Ultrastructurally they are seen as membrane bound spheroidal masses of cytoplasm intruding into the nuclei. Intranuclear inclusions are less commonly seen in hyalinizing trabecular adenomas, medullary carcinoma, hurthle cell carcinoma as well as anaplastic carcinoma.